Ahlback Grade2 changes of Osteoarthritis of the knee means:
1. Joint space obliterated or almost obliterated
2. Minor bone attrition (<5 mm)
3. Moderate bone attrition (5-15 mm)
4. Severe bone attrition (>15 mm)

Correct answer: 1. Joint space obliterated or almost obliterated

Explanation: Ans. A. Joint space obliterated or almost obliteratedAhlback Radiographic Grading Scale of Osteoarthritis of the Tibiofemoral Joint:Grade of OsteoarthritisDescription0 =No radiographic findings of osteoarthritis1 =Joint space narrowing <3mm2 =Joint space obliterated or almost obliterated3 =Minor bone attrition (<5mm)4 =Moderate bone attrition (5-15mm)5 =Severe bone attrition (>15mm)